Which hormone receptor has 4 subunits and 2 units for tyrosine kinase receptor binding?
1. Insulin
2. Glucagon
3. T3
4. ADH

Correct answer: 1. Insulin

Explanation: Ans. A InsulinRef: Ganong, 25th ed. pg. 434Insulin receptor is a tetramer made of two alpha and two beta glycoprotein proteins. The alpha subunits bind insulin and are extracellular while beta subunits have tyrosine kinase activity. The growth promoting anabolic effects of insulin are mediated by phosphatidyl inositol kinase pathway.